Which of the following is False about Net reproduction rate (NRR)
1. NRR of 1 is equivalent to attaining approximately the 2 - child norm
2. NRR < 1 means reproductive performance of the population is said to be below replacement level
3. To achieve NRR = 1, Couple protection rate should be >60%
4. None of above

Correct answer: 4. None of above

Explanation: Net Reproduction Rate (NRR) No. of daughters a newborn girl will bear during her life time assuming fixed age specific fertility and mortality ratio NRR of 1 is equivalent to attaining approximately the 2-child norm o NRR < 1 means reproductive performance of the population is said to be below replacement level To achieve NRR = 1, Couple protection rate should be >60%